Catatonia is most commonly seen with -
1. Schizophrenia
2. Depression
3. Anxiety disorder
4. Obsessive-compulsive disorder

Correct answer: 2. Depression

Explanation: Catatonia most commonly seen with Depression than Schizophrenia.